The antipsychotic with least incidence of extrapyramidal symptoms is:-
1. Haloperidol
2. Thiothixene
3. Thioridazine
4. Perphenazine

Correct answer: 3. Thioridazine

Explanation: Typical Antipsychotics : Thioridazine causes minimum EPS (Marked central anticholinergic activity) Atypical Antipsychotic Agents : Risperidone causes maximum extrapyramidal symptoms (Potent D2 blocker) DRUG (TYPICAL ANTIPSYCHOTIC) EXTRAPYRAMIDAL SIDE EFFECTS Pimozide +++ Fluphenazine +++ Haloperidol +++ Thiothixene +++ Trifluoperazine +++ Loxapine ++ Triflupromazine ++ Chlorpromazine ++ Thioridazine +